Which of these does not change or remains same throughout life
1. Salmon patch
2. Strawberry angiomas
3. Portwine stain
4. Capillary hemangiomas

Correct answer: 3. Portwine stain